Keratometer measures
1. Thickness of cornea
2. Radius of cornea
3. Curvature of cornea
4. Depth of posterior chamber

Correct answer: 3. Curvature of cornea

Explanation: Ans. C: Curvature of cornea A keratometer, also known as a ophthalmometer, is a diagnostic instrument for measuring the curvature of the anterior surface of the cornea, particularly for assessing the extent and axis of astigmatism. A keratometer uses the relationship between object size (0), image size (I), the distance between the reflective surface and the object (d), and the radius of the reflective surface (R). If three of these variables are known (or fixed), the fourth can be calculated using the formula R = 2dI/0